Number of fontanelles present in a newborn child is :
1. 1
2. 2
3. 4
4. 6

Correct answer: 4. 6

Explanation: Wide gap in the suture line is called as Fontanel. In a newborn there are 6 fontanelles Among which two are of obstetric significance. They are - Anterior fontanelle - Posterior fontanelle Ref: Datta Obs 9e pg 77.